Dermatome at umbilicus is
1. T8
2. T10
3. T12
4. L1

Correct answer: 2. T10

Explanation: Dermatome level of umbilicus is T 10. Dermatome of Epigastric level is T7 Dermatome of Supra pubic level is L1.